Sulfation factor is
1. Somatostatin
2. Somatomedian
3. GIP
4. VIP

Correct answer: 2. Somatomedian

Explanation: Insulin-like growth factor 1 (IGF-1), also called somatomedin C, is a protein that in humans is encoded by the IGF1 gene.IGF-1 has also been referred to as a "sulfation factor" and its effects were termed "nonsuppressible insulin-like activity" (NSILA).Somatostatin (also known as growth hormone-inhibiting hormone (GHIH) or somatotropin release-inhibiting factor(SRIF)Gastric inhibitory polypeptide(GIP) Gastrin inhibitory peptide hormone is produced by the pancreas, that is secreted in response to oral- but not parenteral administration ofnutrients-eg, glucose and lipids. Vasoactive intestinal polypeptide(VIP) a polypeptide hormone secreted most commonly by non-b islet cell tumors of the pancreas; VIP increases the rate of glycogenolysis and stimulates pancreatic bicarbonate secretion; excess production causes copious watery diarrhea and fecal electrolyte loss, with hypokalemia and hypochlorhydria.Ref: Ganong's review of medical physiology;24th edition; page no-327